Drug treatment of schizophrenic are:
1. Trifluperazine
2. Clozapine
3. Haloperidol
4. All

Correct answer: 4. All

Explanation: A i.e. Trifluperazine; B i.e. Clozapine; C i.e. Haloperidol